Radiological factors indicating an unstable pelvis are all except:
1. Posterior sacroiliac complex displacement by > 1 cm
2. Avulsion fracture of sacral or ischial end of the sacrospinous ligament
3. Avulsion fractures of the L5 transverse process
4. Isolated disruption of pubic symphysis with pubic diastasis of 2 cm

Correct answer: 4. Isolated disruption of pubic symphysis with pubic diastasis of 2 cm

Explanation: Radiographic factors indicating unstable pelvis are: Posterior sacroiliac complex displacement >1cm Avulsion fracture of sacral or ischial end of the sacrospinous ligament. Avulsion fractures of the L5 transverse process Disruption of pubic symphysis with pubic diastasis of 2 cm with posterior pelvic injury or injury to anterior/ posterior sacroiliac ligament or sacrospinous ligaments. Presence of gap rather than impaction in the posterior pelvic ring.